According to Black's classification, caries on lingual pits of maxillary central incisors are:
1. Class I
2. Class II
3. Class III
4. Class IV

Correct answer: 1. Class I